The process of programmed gene directed cell death characterized by cell-shrinkage, nuclear condensation and fragmentation is known as -
1. Necrosis
2. Chromatolysis
3. Pyknosis
4. Apoptosis

Correct answer: 4. Apoptosis

Explanation: Ans. is 'd' i.e., Apoptosis